RNA is present in -
1. Cytoplasm
2. Nucleus
3. Ribosome
4. All of the above

Correct answer: 4. All of the above

Explanation: Ans. is 'd' i.e., All of the above o mRNA is synthesized from DNA by the process of transcription in the nucleus,o After formation mRNA transport out ofthe nucleus into cytoplasm,o t-RNA is also synthesized in nucleus and is transported to cytoplasm,o Protein synthesis (translation) occurs in ribosomes, and requires both mRNA and tRNA.o rRNA is present in ribosomes,o rRNA is synthesized in nucleolus.o Thus, RNA can be found in -NucleusCytoplasmRibosomeNucleolusAlso knowo DNA is found in nucleus and mitochondria.